The loss of dorsal column of the spinal cord result in loss of which of the following?
1. Knee jerk
2. Ankle jerk
3. Proprioception
4. Abdominal reflex

Correct answer: 3. Proprioception

Explanation: The principal direct pathways to the cerebral cortex for touch, vibratory sense, and proprioception ascend ipsilaterally in the dorsal column to the medulla, where they synapse in the gracilus and cuneate nuclei. The second order neurons from these nuclei cross the midline and ascend the medial lemniscus to end in the contralateral VPL nucleus and related specific sensory relay nuclei of thalamus. This ascending system is called the dorsal column or medial lemniscus system.